Latte's crust method is used for ?
1. Species seminal stain
2. Nature of seminal stain
3. Species of blood stain
4. Blood grouping of blood stain

Correct answer: 4. Blood grouping of blood stain

Explanation: Ans. is 'd' i.e., Blood grouping of blood stain Detection of blood group of blood stain These tests are : 1) Immunological (serological) : i) Aborption-elution test, ii) Absorption-inhibition test, iii) Mixed agglutination test, iv) Latex test 2) Enzymological methods. 3) Latte's crust method.